Following is false regarding the bullet entry wound in skull -
1. Punched in hole in outer table
2. Inner table shows beveling surface
3. No pieces of bone are present in the bullet track
4. Wound is funnel shaped with the funnel opening in the direction in which the bullet is travelling

Correct answer: 3. No pieces of bone are present in the bullet track

Explanation: The synopsis of forensic medicine & toxicology ; Dr k.s narayan reddy ; 28th edition ; pg .no 132 As the bone fragments have to pass through the dura before entering the brain ,lacerations are usually irregular & involve leptomeninges .Pieces of bone from the wound of entry are often driven into cranial cavity & may establish the bullet track .